Bilateral parotid enlargement does not occur in ?
1. Sjogren's syndrome
2. Sarcoidosis
3. SLE
4. Chronic pancreatitis

Correct answer: 3. SLE

Explanation: Ans is 'c' ie SLE Causes of b/1 parotid gland enlargement 1. Viral infections Mumps* Influenza EBV* CMV Coxsackie virus - A HIV 2. Sarcoidosis* 3. Amyloidosis* 4. Sjogren's syndrome* 5. 6. Metabolic Diabetes mellitus* Chronic pancreatitis* Hyperlipoproteinemias Hepatic cirrhosis* Endocrine Acromegaly* Gonadal hypofunction